All are Anti depressants except
1. Trazodone
2. Amitryptyline
3. Fluoxitine
4. Pimozide

Correct answer: 4. Pimozide

Explanation: D i.e. Pimozide